Pseudo buboes are found in -
1. Chancroid
2. LGV
3. Granuloma inguinale
4. All of the above

Correct answer: 3. Granuloma inguinale